Pneumococcal vaccination is indicated in   a) Postsplenectomy  b) Sickle cell anemia  c) HIV  d) After radiotherapy
1. abc
2. abd
3. ac
4. acd

Correct answer: 1. abc